A rikshaw ran over the body of an 8 year old child leaving distinct markings of the tire treads. Marking's of the rikshaw tire over the child's body are best defined as:
1. Contact Abrasions
2. Percolated Abrasions
3. Imprint Abrasions
4. Patterned Abrasions

Correct answer: 4. Patterned Abrasions

Explanation: Impact and pressure abrasions reproduce the pattern of the object causing it and are called patterend abrasions. They are produced when the force is applied at right angle to the surface of skin. When the skin is struck with a weapon having patterned surface, ridges of object damage the epidermis, and skin may be compressed into the cavities of the pattern causing intradermal bruise, eg imprint of bicycle chain, weave of coarse fabrics. Marking's of the rikshaw tire over the child's body are best defined as patterned abrasion. Ref: Essentials of Forensic Medicine and Toxicology, 27th Edition, Pages 156-159; Textbook of Forensic Medicine and Toxicology: Principles and Practice by Vijay, 5th Edition, Page 215